Lyme disease is transmitted by -
1. Rat flea
2. Tick
3. Mite
4. None

Correct answer: 2. Tick

Explanation: Hard ticks transmit the following disease Tick typhus Viral encephalitis Viral fever Viral hemorrhagic fever Tularemia KFD Tick paralysis Human babesiosis Soft tick transmits Q fever Relapsing fever KFD(outside India) Park's Textbook of Preventive and Social Medicine, 25th edition, Page No. 840